All of the following statements about flumazenil are true except:
1. It is a specific antagonist of benzodiazepines
2. It may be used to treat barbiturate poisoning
3. It is given intravenously
4. It acts on same site on GABA channel where benzo diazepines bind

Correct answer: 2. It may be used to treat barbiturate poisoning

Explanation: Uses of flumazenil - reverse BZD anaesthesia, BZD overdose,its mechanism of action is on GABA channel where BZD binds . There is no specific antidote for barbiturates. Ref: KDTripathi 8th ed.